The drug of choice in paroxysmal supraventricular tachycardia is-
1. Digoxin
2. Adenosine
3. Nifedipine
4. Esmolol

Correct answer: 2. Adenosine

Explanation: Ref Harrison 20th edition pg 1536